Pearson's Coefficient of skewness is defined as:
1. (Mean-Mode) / SD
2. (Median-Mode) / SD
3. SD / (Mean - Mode)
4. SD / (Median -Mode)

Correct answer: 1. (Mean-Mode) / SD

Explanation: The coefficient used for checking the skewness of data, is called as the Karl Pearson coefficient, and is calculated as (Mean - Mode) S.D. Ref: Instant Medical Biostatistics, By Ranjan Das, Papri N. Das, 2009 Ane's Instant Medical Series, Page 41, 42.